Bilateral pleural plaques and pulmonary fibrosis involving bases is hallmark of
1. Asbestosis
2. Silicosis
3. Scleroderma
4. Byssinosis

Correct answer: 1. Asbestosis

Explanation: Ans. a (Asbestosis) (Ref. Grainger's Diagnostic Radiology, 4th ed., 513; TABLE 24-3)X-RAY FEATURES OF ASBESTOS EXPOSUREPleuralPulmonaryExtrathoracic# Plaques# Fibrosis (asbestosis)# Peritoneal mesothelioma# Diffuse thickening# Bronchial carcinoma# Other extrathorasic malignancies# Effusions# Round atelectasis (pseudotumour) # Mesothelioma